In Acute Flaccid paralysis, examination for residual paralysis should be done after
1. 30 days
2. 120 days
3. 90 days
4. 60 days

Correct answer: 4. 60 days